Posterior longitudinal ligament continues as?
1. Apical ligament
2. Alar ligament
3. Membrana tectoria
4. Transverse ligament

Correct answer: 3. Membrana tectoria

Explanation: Ans. is'c'i.e., Membrana tectoria[Ref: Nigel Palastanga; Roger W. Soames (2012). Churchill Livingstone, ed. Anatomy and Human Movement: Structure and Function.lThe Posterior longitudinal ligament is situated within the vertebral canal, and extends along the posterior surface of the bodies of the vertebrae.It starts from the body of the axis, where it is continuous with the membrana tectoria and continues to the sacrum.